Increased 'anion gap' is not seen in-
1. Salicylate poisoning
2. Renal tubular acidosis
3. Lactic acidosis
4. Ethylene glycol poisoning

Correct answer: 2. Renal tubular acidosis

Explanation: The most common causes of high anion gap metabolic acidosis are: ketoacidosis, lactic acidosis, renal failure, and toxic ingestions. Ketoacidosis can occur as a complication of type I diabetes mellitus (diabetic ketoacidosis), but can occur due to other disorders, such as chronic alcoholism and undernutrition. Ref Davidson 23rd edition pg 364